Osteoid osteoma consists of -
1. Osteoblasts
2. Osteoclasts
3. Both of above
4. None of the above

Correct answer: 3. Both of above

Explanation: Ans. is 'c' i.e., Both of above Osteoid Osteoma Osteoid osteoma is the most common true benign tumor of the bone. This is a benign circumscribed lesion that may arise in the cortex of long bones or occasionally in the cancellous bone of spine. The characteristic feature is the formation of a small nidus of osteoid tissue, surrounded by a reactive zone of dense sclerosis (Sclerotic new bone formation). Microscopically, the tumor is composed of thin, irregular, trabeculae within a cellular granulation tissue containing osteoblasts and osteoclasts.Trabeculae are more mature in the center, which is often partially calcified. Reactive, sclerotic bone surrounds the nidus. Clinical features of osteoid osteoma The tumor occurs between 10-30 years of age and is more common in males. The diaphysis of long bones is involved, most common bone involved is the tibia followed by femur. Posterior elements of the vertebrae may also be involved. The presenting complaint is a nagging pain, worst at night, and is relieved by salicylates or other NSAIDs, a diagnostic feature. On X-ray, there is a small radiolucent area (nidus) surrounded by dens sclerosis. X-ray, in some cases, show local sclerotic thickening of the shaft that may obscure the small central nidus within the area of rarefaction. Bone scan shows increased uptake in the nidus. The only treatment is wide en block excision along with internal fixation with or without bone grafting.